In a patient with Cardiac output 5 litre/min and body surface area 1.7 square metre, what will be the cardiac index?
1. 3 l/min/sq. m
2. 4 l/min/sq. m
3. 5 l/min/sq. m
4. 2.5 l/min/sq. m

Correct answer: 1. 3 l/min/sq. m